A 23-year-old man undergoing chemotherapy for acute lymphoblastic leukemia has developed a fever and abdominal pain within the past week. He now has a severe cough. On physical examination, his temperature is 38.4deg C. On auscultation, crackles are heard over all lung fields. Laboratory studies show hemoglobin, 12.8 g/dL; hematocrit, 39%; MCV, 90 mm3; platelet count, 221,000/mm3; and WBC count, 16,475/mm3 with 51% segmented neutrophils, 5% bands, 18% lymphocytes, 8% monocytes, and 18% eosinophils. Infection with which of the following organisms is most likely to be complicating the course of this patient's disease?
1. Cryptococcus neoformans
2. Cytomegalovirus
3. Pseudomonas aeruginosa
4. Strongyloides stercoralis

Correct answer: 4. Strongyloides stercoralis

Explanation: The eosinophilia suggests a parasitic infestation. Immunocompromised individuals can have superinfection and dissemination with strongyloidiasis. Type 1 hypersensitivity with allergic reactions may also be accompanied by eosinophilia. The other organisms listed are not known to be associated with eosinophilia.